The junctional epithelium is attached to the tooth by:
1. Basal lamina
2. Desmosomes
3. Enamel cuticle
4. Nasmyth's membrane

Correct answer: 1. Basal lamina